All are features of cleidocranial dysostosis  except
1. Short stature
2. Wide foramen magnum
3. Short Metacarpals
4. Absent clavicle

Correct answer: 3. Short Metacarpals

Explanation: They usually have long 2nd metacarpal
Autosomal dominant condition